Basic amino acid (s) is/are
1. Arginine
2. Lysine
3. Histidine
4. All of these

Correct answer: 4. All of these

Explanation: Basic amino acids → Histidine, arginine, lysine (Memonics HAL).
Acidic amino acids → Aspartic acid (aspartate), glutamic acid (glutamate).
All other 15 standard amino acids are neutral.